Clara cells are found in :
1. Trachea
2. Bronchioles
3. Alveoli
4. Oesophagus

Correct answer: 2. Bronchioles

Explanation: Ans. is 'b' i.e. Bronchioles Different parts of the respiratory tracts have distinctive histological features :Clara cells are found in-bronchioles*Goblet cells are found in-Bronchi*Mucous gland are found in-Bronchi*Neuroendocrine cells-Bronchi*Mural cartilage-Bronchi*Part rich in secretory immuno globin-Bronchioles*Pores of Kahn-Alveoli*Contain macrophages in their lumens-Alveoli*Note that Squamous cells are never present in the normal lung,* when found they represent a metaplasia, (Squamous cell Ca is the most common type of lungs cancer even though the normal lungs contain no squamous mucosa).